A 17 year-old female is suffering from insomnia from last 6 months. She also informs about her changed eating habit . She eats alot of food even after eating her evening meals and also wakes up frequently at night to eat again . Due to such behaviour she usually skips her breakfast . She doesn't seem much concerned about her appearance and weight gain . What shall be your probable diagnosis ?
1. Night eating syndrome
2. Bulimia nervosa
3. Anorexia nervosa
4. Binge eating disorder

Correct answer: 1. Night eating syndrome

Explanation: From the symptoms enlisted above , it seem to be a Night eating syndrome Night-eating syndrome Consuming significant amount of caloric intake after an evening meal Diagnostic points : Symptoms persist for >=3 months Recurrent episodes of hyperphagia(At night ) Insomnia In the morning ,lack of desire for food Unconcerned about appearance and weight gain . Binge Eating disorder and other Eating disorders are shorter in duration